Regarding efficacy and potency of a drug, all are true, EXCEPT:
1. In a clinical setup, efficacy is more important than potency
2. In the log dose response curve, the height of the curve corresponds with efficacy
3. ED50 of the drug corresponds to efficacy
4. Drugs that produce a similar pharmacological effect can have different levels of efficacy

Correct answer: 3. ED50 of the drug corresponds to efficacy

Explanation: ED50 refers to Effective Dose of a drug needed to produce a particular response in 50% of population. It is a quantitative measure of the potency of a drug. Smaller the ED50 value, more potent is the drug. Ref : K.D TRIPATHI 8th ed